A neonate born with congenital rubella is diagnosed of having patent ductus arteriosus (PDA). What is the most common cause of death in this condition?
1. Cardiac failure
2. Respiratory failure
3. Infective endarteritis
4. Embolization

Correct answer: 1. Cardiac failure

Explanation: The ductus arteriosus is a fetal communication between the descending aorta just distal to the left subclavian artery and the main pulmonary artery near its bifurcation. A patent ductus arteriosus (PDA) occurs when the ductus arteriosus fails to close after birth. With a PDA, congestive heart failure (CHF) can occur because of chronic left heart volume overload. In patients with death related to PDA, CHF is the most common cause. Development of right-left shunt is also a poor prognostic indicator. Risk factors for PDA include maternal rubella infection, birth at high altitude, premature birth, female sex, and genetic factors. In infants born at less than 28 weeks of gestation, there is 60% incidence of PDA. Important Note In the fetus, the ductus arteriosus is maintained open by low arterial oxygen content and placental prostaglandins. Ref: Manual of Cardiovascular Medicine edited by Brian P. Griffin, Eric J. Topol, Deepu Nair, M.D., Kellan Ashley, M.D., 2008, Page 458 ; Nelson Textbook of Paediatrics 17th edition, Page 1611